Which of the following statements is true about capillaries :
1. Contain 5% of total blood volume
2. Contain 10 % of total blood volume
3. Velocity of blood flow is maximum
4. Offer maximum resistance to blood flow

Correct answer: 1. Contain 5% of total blood volume

Explanation: A i.e. Contains 5% of blood volume